Case fatality rate is a ?
1. Rate
2. Ratio
3. Proportion
4. None

Correct answer: 3. Proportion

Explanation: Ans. is 'c' i.e., Proportion